Carbohydrates malabsorption is detected by:
1. Breath hydrogen test
2. Nitrogen breath test
3. Fecal nitrogen
4. Rapid urease test

Correct answer: 1. Breath hydrogen test

Explanation: Breath hydrogen test: used to identify the specific carbohydrate (lactose, sucrose, fructose, or glucose) that is malabsorbed. Ex: Lactose, if not absorbed in the small intestine, reaches the colon, where it is fermented to short-chain organic acids, releasing hydrogen that is detected in the lactose breath test Rapid urease test: for H. pylori